Which of the following is responsible for crepitations in wounds:
1. Staphylococcus
2. Mycobacterium
3. Streptococcus
4. Clostridium

Correct answer: 4. Clostridium

Explanation: Ans. D: Clostridium Crepitus may be palpated as a result of infection by gas forming organism Established pathogens of gas gangrene group are Cl. Perfringenes, Cl. Septicum and Cl. novyi Crepitus A sound can be created when two rough surfaces in the human body come into contact-- for example, in osteoarthritis or rheumatoid arthritis when the cartilage around joints has eroded away and the joint ends grind against one another When the fracture surfaces of two broken bones rub together, it produces a sound. Crepitus is a common sign of bone fracture. In soft tissues, crepitus can be produced when gas is introduced into an area where it normally isn't present. The term can also be used when describing the sounds produced by lung conditions such as interstitial lung disease--these are also referred to as "rales". Crepitus is often loud enough to be heard by the human ear, although a stethoscope may be needed to detect instances caused by respiratory diseases. In times of poor surgical practice, post-surgical complications involved anaerobic infection by Clostridium perfringens strains, which can cause gas gangrene in tissues, also giving rise to crepitus. Subcutaneous crepitus (or surgical emphysema) is a crackling sound resulting from subcutaneous emphysema, or air trapped in the subcutaneous tissues. Subcutaneous emphysema/ SCE/ SE/ Tissue emphysema/ Sub Q air It occurs when gas or air is present in the subcutaneous layer of the skin. Subcutaneous refers to the tissue beneath the cutis of the skin, and emphysema refers to trapped air. Since the air generally comes from the chest cavity, subcutaneous emphysema usually occurs on the chest, neck and face, where it is able to travel from the chest cavity along the fascia. Subcutaneous emphysema has a characteristic crackling feel to the touch, a sensation that has been described as similar to touching Rice Krispies; this sensation of air under the skin is known as subcutaneous crepitation.